The following is NOT true about the use of beta–blockers in heart failure:
1. It should be initiated at very low dose
2. It is most effective in new onset decompensated heart failure
3. Slow upward titration of dose is required
4. Carvedilol is most widely used in this condition

Correct answer: 2. It is most effective in new onset decompensated heart failure